Hernia through foramen of Bochdalek true is -
1. Congeniatal hernia
2. Is asymptomatic
3. Seen especially in males
4. Least common

Correct answer: 1. Congeniatal hernia

Explanation: Answer is 'a' i.e. Congenital hernia